All of the following statements about Pancreatic Carcinoma are true, EXCEPT:
1. Mutation in P53 gene is associated in 75% of cases
2. Hereditary Pancreatitis significantly increases the risk
3. Median survival in locally advanced (stage III) disease is 3-6 months
4. Five year survival after curative pancreaticoduodenectomy is 15 -20%

Correct answer: 3. Median survival in locally advanced (stage III) disease is 3-6 months

Explanation: Median survival for stage III pancreatic cancer is 6-10 months and for patients with metastatic disease such as stage IV it is 3-6 months. Staging of pancreatic cancer: Stage I disease includes T1 (size 2cm, limited to pancreas) with no lymph node involvement. Stage II disease includes T3 ( lesions extend beyond the pancreas but do not involve the celiac axis or superior mesenteric artery). Stage III includes T4 (lesions involve the celiac axis or superior mesenteric artery and are not resectable) without metastatic disease. Stage IV includes T4 with metastases to distant sites such as the liver or lungs are stage IV. Ref: Schwartz's Principles of Surgery, 9th Edition, Chapter 33; Pancreatic Cancer By Daniel D. Von Hoff, Page 447; Lecture Notes: General Surgery By Harold Ellis, Page 288